Diplopia is characteristic feature of ?
1. Concomitant squint
2. Non-paralytic squint
3. Paralytic squint
4. Latent squint

Correct answer: 3. Paralytic squint

Explanation: Ans. is 'c' i.e., Paralytic squint